Head of scapula is
1. Coracoid process
2. Acromion process
3. Lateral angle
4. Spin

Correct answer: 3. Lateral angle

Explanation: Lateral angle or glenoid angle is broad and bears the glenoid cavity or fossa, which is directed forwards, laterally and slightly upwards. Glenoid cavity margin gives attachment to the shoulder joint and to the glenoid labrum. BD Chaurasia 7th edition Page no: 9